The drug of choice for thoracic actinomycosis is-
1. Amphotericin - B
2. Penicillin
3. Cotrimoxazole
4. Itraconazole

Correct answer: 2. Penicillin

Explanation: Ans. is 'b' i.e., Penicillin Penicillin is the drug of choice for all types of actinomycosis.